ADEK deficiency is seen in:
1. Malabsorption syndrome
2. Obstructive jaundice
3. Deficiency of pancreatic lipase
4. All of the above

Correct answer: 4. All of the above

Explanation: Ans. D: All of the aboveFat soluble vitamins (A,D,E,K) are poorly absorbed in the absence of bile/pancreatic lipase.Malabsorption syndrome includes deficient absorption of amino acids, with marked body wasting and, eventually, hypoproteinemia and edema. Carbohydrate and fat absorption are also depressed. Because of the defective fat absorption, the fat-soluble vitamins (vitamins A, D, E, and K) are not absorbed in adequate amounts. The amount of fat and protein in the stools is increased, and the stools become bulky, pale, foul-smelling, and greasy (steatorrhea).